The role of htirnan placental lactogen is :
1. Stimulate milk production
2. Fetal breast development
3. Growth of fetus
4. Endocrine regulation

Correct answer: 3. Growth of fetus

Explanation: Growth of fetus